Carpal tunnel contains all except -
1. Median nerve
2. FDS tendon
3. FPL tendon
4. FCU tendon

Correct answer: 4. FCU tendon